Synkinesis is a sequel of ?
1. Facial nerve paralysis
2. Trigeminal nerve paralysis
3. Superficial temporal nerve paralysis
4. Greater Petrosal nerve paralysis

Correct answer: 1. Facial nerve paralysis

Explanation: Ans. is 'a' i.e., Facial nerve paralysis Clinical features of Bell's palsy Acute onset, ipsilateral facial paralysis. Facial paralysis is usually preceded by pain behind the ear. Patient is unable to close his eyes. Bells phenomenon, i.e. on attempting to close the eye, eyeball turns up and out. Face becomes asymmetrical and saliva dribbles from angle of mouth. Ipsilateral loss of taste sensation, salivation and lacrimation. Intolerance to high pitched or loud sound (hyperacusis). Most patients (80%) recover within few weeks to months. Synkinesis and crocodile tear are sequelae of Bell's palsy :- Synkinesis or facial synkinesis is a common sequelae to Bell's palsy. This is due to cross innervation of nerve fibres during recovery. When the patient wishes to close the eye, corner of mouth also twiches and vice versa. Crocodile tear (gustatory lacrimation) is due to faulty regeneration of parasympathetic fibres which now supply lacrimal gland instead of the salivary glands.